Epithelium lining of lingual surface of epiglottis is?
1. Simple Columnar
2. Simple Cuboidal
3. Pseudostratified ciliated columnar
4. Stratified squamous epithelium

Correct answer: 4. Stratified squamous epithelium

Explanation: ANSWER: (D) Stratified squamous epitheliumREF: Basic Histology by Lange 11th edition Chapter 17 '"The Respiratory System"See APPENDIX-10 below for "SOME IMPORTANT EPITHELIUM LININGS".The epiglottis is a flap valve that covers the laryngeal airway during swallowing. Thus the epithelium facing the oral cavity is oral epithelium, while the epithelium on the surface facing the airway is respiratory.The entire lingual surface and the apical portion of the laryngeal surface are covered with stratified squamous epithelium. Toward the base of the epiglottis on the laryngeal surface, the epithelium undergoes a transition into ciliated pseudostratified columnar epithelium. APPENDIX- 10Common Types of Covering Epithelia in Human BodyTypeCell FormExamples of distributionMain FunctionSimpleSquamousLining of ves sels (endothelium).Serous lining of cavities; pericardium, pleura, peritoneum (mesothelium).Facilitates the movement of the viscera (mesothelium), active transport by pinocvtosis (mesothelium and endothelium), and secretion of biologically active molecules (mesothelium).CuboidalCovering the ovary, thyroid.Covering, secretion.ColumnarLining of intestine, gallbladder.Protection, lubrication, absorption, secretion.Pseudost-ratifiedSome columnar and some cuboidalLining of trachea, bronchi, nasal cavity.Protection, secretion; cilia-mediated transport of particles trapped in mucus.StratifiedSurface layer squamous keratinized (dry)Epidermis.Protection; prevents water loss.Surface layer squamous nonkeratinized (moist)Mouth, esophagus, larynx, vagina, anal canal.Protection, secretion; prevents water loss.CuboidalSweat glands, developing ovarian follicles.Protection, secretion.Transitional: domelike to flattened, depending on the functional state of the organBladder, ureters, renal calyces.Protection, distensibility.ColumnarConjunctiva.Protection.